Myeloma associated with good prognosis:
1. t(11:14)
2. deletion of 13q
3. del 17p
4. t(14,16)

Correct answer: 1. t(11:14)

Explanation: Multiple Myeloma:- Plasma cell tumor that manifest with multiple lytic bone lesion associated with pathologic fractures and hypercalcemia. Neoplastic plasma cell suppress normal humoral immunity and secrete partial Ig that are nephrotoxic Associated with diverse Translocation involving the Ig H locus, frequent dysregulation and overexpression of D cyclin. Translocation t (11:14 ):- Good prognosis.